Which is not an alkaloid?
1. Morphine
2. Neostigmine
3. Emetine
4. Atropine

Correct answer: 2. Neostigmine

Explanation: ANSWER: (B) NeostigmineREF: KDT 6th edition various chaptersSome alkaloids used as drugs are:Local anesthetic and stimulant cocaineThe psychedelic psilocinThe stimulant caffeine; nicotineThe analgesic morphineThe antibacterial berberineThe anticancer compound vincristineThe antihypertension agent reserpineThe cholinomimetic galatamineThe spasmolysis agent atropineThe vasodilator vincamineThe anti-arhythmia compound quinidineThe anti-asthma therapeutic ephedrineThe antimalarial drug quinineThe emetic emetine